Chest compression during CPR depth:
1. 1 inch
2. 2 inches
3. 3 inches
4. 4 inches

Correct answer: 2. 2 inches

Explanation: Ans. B i.e. 2 inches